Coloric test assesses the function of ?
1. Horizontal semicircular canal
2. Posterior semicircular canal
3. Anterior semicircular canal
4. Cochlea

Correct answer: 1. Horizontal semicircular canal

Explanation: Ans. is 'a' i.e., Horizontal semicircular canal Caloric test The principle of the coloric test is the production of ocular nystagmus and sensation of rotation (vertigo) by thermal stimulation of vestibular system. Caloric test stimulates the inner ear vestibular system by delivering cold and warm water to the ear canal at different times. Caloric test evaluates the integrity of lateral (horizontal) semicircular canals and their afferent pathways. o The vertigo produced by caloric test is compared with vertigo experienced by the patient during the clinical episode of vertigo and if both are qualitatively same, it suggests labyrinthine origin of vertigo. Nystagmus produced by caloric test has both fast and slow component because caloric test stimulates vestibular system and vestibular nystagmus has a slow and a fast component. In caloric test one ear is tested at one time and the principle advantage of the test lies in the ability of an investigator to evaluate selectively the physiological integrity of a patient's left or ight horizontal semicircular canal separately. Three different clinical types of caloric tests have been described :- Fitzgerald - hallpike test (bithermal caloric test) Modified kobrak test (cold caloric test) Cold - air caloric test